Cauliflower ear is seen in which of the following?
1. Keloid
2. Perichondritis in boxers
3. Squamous cell carcinoma
4. Anaplastic cell carcinoma

Correct answer: 2. Perichondritis in boxers

Explanation: Ans. is 'b' i.e., Perichondritis in boxers Hematoma of the auricle* It is the collection of blood between the auricular cartilage and its perichondrium.* It usually occurs due to blunt trauma and often seen in boxers, wrestlers and rugby players, therefore it is also called Boxer's ear.* Extravasated blood may clot and then organize, resulting in typical deformity called, cauliflower ear. If hematoma gets infected, severe perichondritis may set in.